Type III reaction is-
1. Antibody mediated
2. Immune complex mediated
3. Cell mediated
4. None

Correct answer: 2. Immune complex mediated

Explanation: Option 2 Type-III hypersensitivity reactions are as a result of excess formation of immune complexes (Ag-Ab complexes) which initiate an inflammatory response through activation of complement system leading to tissue injury: Localized or Arthus reaction Generalized or Systemic type III Reactions, e.g. Serum sickness. Option 1 Type-I: IgE-mediated degranulation of basophils or mast cells. Type-II: IgG Antibodies against cell surface antigen, causing damage by ADCC or complement activation. Option 3 Type-IV hypersensitivity:- It is delayed type (occurs after 48-72 hours of antigen exposure) Cell mediated: Characteristic cells called TDTH cells are the principal mediators